A village with 10000 population 250 suffered from malaria out of which 50 dead, another 100 suffered from dengue out of which 30 died in 2013 case fatality rate of dengue is ?
1. 40
2. 80
3. 30
4. 70

Correct answer: 3. 30

Explanation: Ans. is 'c' i.e., 30